Which of the following forms of pneumoconiosis is associated with an increased susceptibility tuberculosis?
1. Asbestosis
2. Silicosis
3. Coal workers pneumoconisis
4. Stannosis

Correct answer: 2. Silicosis

Explanation: Ref:Textbook of pathology (Harsh mohan) 6th edition,page no.491 The functional effects of silicosis develop slowly and insidiously. The main presenting complaint is dyspnoea. In time, the patient may develop features of obstructive or restrictive pattern of disease. Other complications such as pulmonary tuberculosis, rheumatoid arthritis (Caplan's syndrome) and cor pulmonale may occur. The chest radiograph initially shows fine nodularity, while later there are larger and coalescent nodules. Silicosis does not carry increased risk of developing bronchogenic carcinoma.